Adenovirus 40/41
1. Cervical tissue
2. Synovial fluid
3. Blood
4. Stool

Correct answer: 4. Stool

Explanation: The diagnosis of a viral infection is made easier by the creation of a greater number of diagnostic virology laboratories during the past few decades. In order for viral diagnosis to be successful, the most appropriate specimen must be collected for the disease in question.Many viruses can be isolated from feces. Of the viral groups in these questions, adenovirus 40/41 is the most common stool isolate. Norwalk agent and other caliciviruses may also be isolated or detected from stools, but usually only in specialized laboratories.